Not true about Zika virus,
1. Microcephaly
2. Transmitted by Aedes mosquito
3. Mother to child transmission via Breast feeding
4. Zika is Flavi virus

Correct answer: 3. Mother to child transmission via Breast feeding